Mechanism of Mianserin
1. Inhibitis α - adrenergic, H1 & some type of 5 - HT receptors
2. Inhibits α - adrenergic, H2 & some type of 5-HT receptors
3. Inhibitis β - adrenergic, H1 & some type of 5 - HT receptors
4. Inhibits α adrenergic & H1 receptors.

Correct answer: 1. Inhibitis α - adrenergic, H1 & some type of 5 - HT receptors

Explanation: Mianserin is an atypical antidepressant that acts by inhibiting α - adrenergic, H1 & certain serotonin receptors.